A hymenal tag in a newborn is best treated by
1. Steroids
2. Surgery
3. Leaving it alone
4. None of the above

Correct answer: 3. Leaving it alone

Explanation: Hymenal skin tags : Sometimes, small pieces of smooth pink tissue can protrude. These vaginal (hymenal) tags occur in about 10 percent of newborn girls and are considered normal and harmless. Hymenal skin tags usually resolve themselves over a period of about two to four weeks. Reference: GHAI Essential pediatrics, 8th edition